Which of the following's not used as an emergency of contraception?
1. Danazol
2. Copper T
3. RU 486
4. OCpill

Correct answer: 1. Danazol

Explanation: Emergency Contraceptives Levonorgestrel (POP): 1 dose 1.5 mg within 72 hrs Copper IUDs( NOT THE DOC ):Insertion within 5 days Ulipristal acetate (SPRM) : 30 mg orally within 120 hours Ethinyl estradiol 50 ug + Norgestrel 0.25 mg (COC) : 2 tab stat and 2 after 12 hour Mifepristone RU 486 (PART) : 25 to 100 mg single dose